Increased serum alanine during fasting is due to:
1. Breakdown of muscle proteins
2. Decreased utilization of non-essential amino acids
3. Leakage of amino acids to plasma
4. Impaired renal function

Correct answer: 1. Breakdown of muscle proteins

Explanation: Ans. A. Breakdown of muscle proteinsAlanine in the muscle undergoes transamination to form pyruvate which undergoes gluconeogenesis to form glucose. During starvation tissues to get energy accelerates the formation of alanine and gluconeogenesis.